Shock with bullous skin lesion is seen in infection with ?
1. E. coli
2. Pseudomonas
3. Meningococci
4. Candida

Correct answer: 2. Pseudomonas

Explanation: Ans. is 'b' i.e., Pseudomonas . Pseudomonas is an important cause of life threatning bacteremia in immunocompromised patients. C/Fs Fever Disorientation, confusion or obundation Tachypnea Hypotension can progress to refractory shock Tachycardia Ecthyma gangrenosum --> vesicles or bullae Prostration